Cause of Clostridium difficile associated diarrhea is
1. Trauma
2. Dairy products
3. Fried rice
4. Antibiotic use

Correct answer: 4. Antibiotic use

Explanation: Clostridium difficile causes acute colitis with bloody diarrhea and pseudomembranous colitis. A common cause of nosocomial diarrhea. The disease follows the use of broad-spectrum antibiotics to which it is resistant. Exotoxin A and B involved in the pathogenesis. An opportunistic organism that causes disease only when the normal mechanism is altered. Reference: Textbook of Microbiology; Anathanarayan and paniker's; 10th edition; Page no: 270